Choose the wrong statement regarding chondromalacia patella _____:
1. There is increasing osteoporosis of the patella
2. There is blistering in the patellar cartilage
3. It affects the medial facet of the patella
4. It is commonly associated with vastus medius tendinitis

Correct answer: 1. There is increasing osteoporosis of the patella

Explanation: Ans. A. There is increasing osteoporosis of the patella* Chondromalacia patella is defined as a blistering cystic change in the patellar cartilage usually affecting the medial facet of the patella. It is associated with vastus medius tendinitis.* The change is attributed to a decrease in sulfated mucopolysaccharide in the ground substance.